Sign of antemortem hanging is
1. Ligature mark
2. Eye is open
3. Fracture of hyoid
4. Tardieu spots

Correct answer: 2. Eye is open

Explanation: Ans. is 'b' i.e., Eye is open * The important PM findings of Hanging are :i) Ligature mark is above thyroid cartilage, incomplete, bilaterally symmetrical and directed obliquely upward extending to the angles of mandible, then to mastoid and finally to occipital protuberance. Ligature mark is an example of imprinted/pressure/patterned abrasion.ii) Under the ligature mark there is dry, white and glistening pad of fat.iii) There is dribbling of saliva from the angle of the mouth, which is confirmatory sign of antemortem hanging. This is due to irritation of submandibular and parotid glands by ligature.iv) There may be intimal tear of carotid arteries.v) In case of pressure of ligature on cervical sympathetic ganglia, the eye on that side is found open (La facie sympathique). It confirms antemortem hanging.vi) Fracture of hyoid is usually not seen (may be seen only in 10%). Fracture of thyroid cartilage (20-30% cases) and fracture of tracheal rings (5-10%) may be seen. There may be congestion and ecchymosis (hemorrhage) in trachea, larynx, epiglottis and esophagus. All these injuries are more common in strangulation because strangulation is more violent than hanging causing more severe injury to neck structures.vii) Tardieu spots (petechial hemorrhage) are not as pronounced as in strangulation.